Visual acuity is a test of:
1. Light sense
2. Colour sense
3. Contrast sense
4. Form sense

Correct answer: 4. Form sense

Explanation: Ans. D i.e. Form sense